Duchnne\'s muscular dystrophy –
1. X–linked dominant
2. X–linked recessive
3. AutosomaI dothinant
4. Autosomal recessive

Correct answer: 2. X–linked recessive

Explanation: Duchenne & Becker's muscular dystrophy is X-linked recessive.